Consumer protection act was passed in -
1. 1977
2. 1986
3. 1993
4. 1998

Correct answer: 2. 1986

Explanation: For the first time in India,the Consumer Protection Act 1986 provided consumers a forum of speedy redressal of their grievances against medical services.In the entire health care delivery system the most vital sector is the medical profession (refer pgno:694 park 23 rd edition)